A child with high fever, severe sore throat presented with painful swallowing. Her voice was abnormal. Quinsy was diagnosed. What is referred to as Quinsy?
1. Peritonsillar abscess
2. Retropharyngeal abscess
3. Parapharyngeal abscess
4. Any of the above

Correct answer: 1. Peritonsillar abscess

Explanation: When infection penetrates the tonsillar capsule and involves the surrounding tissues, peritonsillar cellulitis results. Peritonsillar abscess otherwise known as 'quinsy' and cellulitis present with severe sore throat, odynophagia, trismus, medial deviation of the soft palate and peritonsillar fold, and an abnormal muffled ("hot potato") voice.